A body is brought for autopsy to the medical college hospital. The death was allegedly due to poisoning. The medics noted a scent of shoe polish on the body, on initial examination. What is the possible toxin involved?
1. Nitrobenzene
2. Chloral hydrate
3. Hydrogen Sulphide
4. Lacquer

Correct answer: 1. Nitrobenzene

Explanation: Chloral hydrate acrid pear like smell. H2S smells like rotten eggs. Lacquer smells like acetone (apple like). Ref: Textbook of Forensic Medicine and Toxicology by V.V Pillay, 15th Edition, Page 430.